The percentage of HbF at birth is:
1. 20%
2. 50%
3. 70%
4. 90%

Correct answer: 3. 70%

Explanation: Ans. is c, i.e. 70%Ref NelsonDuring Intrauterine life HbF=90%At birth HbF=70%At 6 months after birth HbF=1-2%In Adults (HbF) is in traces.